Phospholipids are
1. Simple lipids
2. Derived lipids
3. Compound lipids
4. None

Correct answer: 3. Compound lipids

Explanation: They are fatty acids esterified with alcohol but in addition, they contain other groups Phospholipids containing phosphoric acidRef: DM Vasudevan - Textbook of Biochemistry, 7th edition, page no: 83